True about use of NSAIDs in Abnormal uterine bleeding is all except
1. Prostaglandins have role in pathogenesis of endometrial dysfunction.
2. Women lose 90 % of menstrual blood volume in first 3 days, so NSAIDs are used just prior to onset.
3. Reduce menstrual blood loss by 25%.
4. Commenced just prior to start of menses and continued upto day of ovulation (day 14).

Correct answer: 4. Commenced just prior to start of menses and continued upto day of ovulation (day 14).

Explanation: NSAIDs are taken only during menstruation.